Epiphyseal dysgenesis is a feature of
1. Hyperparathyroidism
2. Hypoparathyroidism
3. Hypothyroidism
4. Hyperthyroidism

Correct answer: 3. Hypothyroidism

Explanation: Radiological finding * Retardation of osseous development * Absence of distal epiphysis * Epiphyseal dysgenesis * Deformity (beaking) of 12th thoracic or is' or 2nd lumbar vertebra * Skull show large fontanels and wide sutures Congenital hypothyroidism (CH) : is defined as thyroid hormone deficiency present at birth * most cases of congenital hypothyroidism are not herediatory and result from thyroid dysgenesis * Some cases may be famalial,usually caused by one of the inborn errors of thyroid hormone synthesis and may be associated with goiter. Clinical Manifestations Infants protected for is' few wks of life * Fraction of maternal thyroid hormone crosses placenta * >4o wk GA * Head size Slightly higher % due to brain myxedema * Large fontanels & wide sutures * Macroglossia * Distended abdomen with umbilical hernia * Rough dry skin * Skin cold with mottling * Sensorineural deafness Sluggish feeding Constipation * Lethargic * Sleep more, needs to be awakened to feed * Hoarse cry * Hypothermia * Cardiomegaly * Murmur * Asymptomatic pericardial effusion * Macrocytic anemia * Hypotonic with slow reflexes * Prolonged physiological jaundice ref : maheswari 9th ed